Which of the following is not a heterophile reaction?
1. Weil Felix test
2. Paul Bunnell test
3. Frie's test
4. Cold agglutinin test

Correct answer: 3. Frie's test

Explanation: HETEROPHILE REACTION :- Similar antigens on dissimilar organisms are called heterophile antigens Closely related antigens can occur on a wide variety of organisms. Antibodies reacting with such antigens are called heterophile antibodies. Serologic tests employing such antigens are called heterophile tests. Frie's test is used in the diagnosis of LGV. Antigen made from sterile pus aspirated from previously unruptured LGV abscesses, produces a reaction in patients with lymphogranuloma inguinale when injected intradermally.